A female presents with persistent painful oral lesions, with acanthOlYtIZ cells. Most likely dipiosisiS
1. Pemphigus vulgaris
2. Dermatitis herpetiformis
3. Epidermolysis bullosa
4. Bullous pemphigoid

Correct answer: 1. Pemphigus vulgaris

Explanation: In pemphigus vulgaris skin involvement starts in the form of flaccid blisters. Cutaneous lesions are usually preceded by blisters and erosions of oral mucosa. HP shows a suprabasal cleft with bulla formation just above the basal layer with a tomb stone appearance and with blister cavity containing acantholytic cells and inflammatory cells. page no.280.282. Reference IADVL's concise textbook of dermatology